All of the following are true statement for Arbovirus EXCEPT:
1. Japanese encephalitis is caused by group B Arbovirus (Flavivirus)
2. Chikungunya fever is transmitted by Aedes mosquito
3. Kyasanur Forest Disease is transmitted by mites
4. West nile fever is transmitted by Culex mosquito

Correct answer: 3. Kyasanur Forest Disease is transmitted by mites

Explanation: Ans. C i.e. Kyasanur Forest Disease is transmitted by mites There are a variety of animals thought to be reservoir hosts for the Kyasanur Forest disease, including porcupines, rats, squirrels, mice and shrews. The vector for disease transmission is Haemaphysalis spinigera, a forest tick. Humans contract infection from the bite of nymphs of the tick.